Most common newborn rash which presents at 24–48 hours of life is –
1. Erythematous papular pustular lesions
2. Milia
3. Transient neonatal pustular melanosis
4. Haemangioma

Correct answer: 1. Erythematous papular pustular lesions

Explanation: Common newborn rashes


Erythema toxicum —> Most common
Acne neonatorum
Transient neonatal pustural melanosis.